Hydrocephalous is detailed best antenately by -
1. X-ray abdomen
2. Amniocentasis
3. Clinical examination
4. Ultrasonography

Correct answer: 4. Ultrasonography

Explanation: Ans-DUltrasound (Ref Williams Obstetrics, 21st,p. 1119-1120).The best method for the diagnosis of hydrocephalus prenatally is ultrasound.On ultrasound, the excess fluid is reflected by ventriculomegaly.